A 24 year old patient has been diagnosed with androgen-insensitivity syndrome. The patient is likely have all of the following signs EXCEPT
1. An XY chromosome complement
2. Menstruation'
3. Female external genitalia
4. Heterosexuality

Correct answer: 2. Menstruation'

Explanation: A genetic male with androgen-insensitivity (testicular feminization) syndrome has the sexual phenotype of a female. Because there is a genetic defect, the somatic cells do not respond to androgen, and masculinization does not take place prenatally. In adults with androgeninsensitivity syndrome, breast development occurs as a result of testicular estrogen secretion. However, menstruation does not occur because there is no uterus. Individuals with androgen-insensitivity syndrome are usually heterosexual with respect to their sexual phenotype (i.e., they have sexual interest in men).